Which of the  following infects hair, skin and nails-
1. Trichosporum
2. Trichophyton
3. Microsporum.
4. Epidermophyton

Correct answer: 2. Trichophyton